Biosynthesis of glucuronic acid requires the
1. Oxidation of UDP glucose
2. Oxidation of glucose 6-phosphate
3. Oxidation of 6-phophoguconate
4. Oxidanation of glucose

Correct answer: 1. Oxidation of UDP glucose

Explanation: Glucuronic acid is a sugar acid derived from glucose, with its sixth carbon atom oxidized to a carboxylic acid. In living beings, this primary oxidation occurs with UDP-a-D-glucose (UDPG), not with the free sugar.Ref: DM Vasudevan, 7th edition, page no: 120